Floor of 4th ventricle has ?
1. Infundibulum
2. Vagal triangle
3. Mammillary body
4. Tuber cincrium

Correct answer: 2. Vagal triangle

Explanation: Floor of 4th ventricle (Rhomboid fossa) It is diamond or rhomboidal shaped and is formed by posterior surface of pons (upper triangular part or pontine part) and dorsal surface of medulla (lower triangular part or medullary part) junction of pons and medulla forms intermediate part. Features of 4th ventricle are :? Median sulcus (a midline groove) divides the floor into two symmetrical halves. Medial eminence is present an each side of median sulcus. It presents facial colliculus formed by genu (recurving fibers) of facial nerve looping around abducent nucleus. Facial colliculus lies in pons (i.e. in pontine part of floor). Hypoglossal triangle overlying hypoglossal nucleus and vagal triangle overlying dorsal nucleus of vagus. Both of these triangle lie in the medulla (medullary part of floor). Vestibular area overlies vestibular nuclei, partly in pons and partly in medulla. Sulcus coeruleus, a bluish area due to presence of pigmented neurons containing substantia ferruginea. Superior and inferior ea.